What is the commonest cause of loss of vision in Neurofibromatosis type 1?
1. Lisch nodules
2. Acoustic neuroma
3. CP angle tumours
4. Optic nerve glioma

Correct answer: 4. Optic nerve glioma

Explanation: Optic nerve glioma ,pilocytic astrocytoma, typically occurs in young children. It gives a fusiform enlargement of nerve and may present with -slowly |sing painless proptosis, -visual impairment (often marked), -optic atrophy -strabismus. Can be B/L and may extend posteriorly to involve chiasma, optic tract and hypothalamus. Hamartomatous lesions (Lisch nodules) are found on iris of pre pubertal children who suffer from Neurofibromatosis. Generally do not cause loss of vision. Acoustic neuroma (CP angle tumour ) is seen in NF type 2. NF Type 1 can also be associated with glaucoma